Test for assessment of mucosal function of GIT:
1. D-xylose test
2. Small bowel study
3. Biopsy
4. Schilling test

Correct answer: 1. D-xylose test

Explanation: Answer is A (D-xylose test): D-xylose is a carbohydrate that is absorbed almost exclusively in the proximal small bowel without the help of pancreatic enzymes. A positive D-xylose test indicates malabsorption due to intestinal mucosal disease and thus be used as a test for assessment of mucosa! function. D- Xylose Test D-Xylose is a carbohydratedeg that is absorbed completely in small bowel without the help of pancreatic enzymes and excreted unchanged in urine D- Xylose absorption test is used to distinguish malabsorption due to pancreatic disease from malabsorption due to intestinal mucosal disease D-Xylose is absorbed almost exclusively in the proximal small bowel (duodenum and jejunum), and a positive test primarily reflects a duodenal /Jejunal mucosal disease